Presence of hydronephrosis in staging of carcinoma cervix denotes FIGO disease :
1. Stage II-B
2. Stage III-A
3. Stage III-B
4. Stage IV-A

Correct answer: 3. Stage III-B

Explanation: Stage III-B